What will happen if a bacteria acquires genes coding for restriction endonuclease -
1. Bacteria will die as lacks methylase
2. It will damage the host cell
3. It will have capacity to divide & multiply many times
4. Enhances proof reading activity of that bacteria

Correct answer: 1. Bacteria will die as lacks methylase